All of the following are responsible for Right shifting of O2 saturation curve; except:
1. Hypoxia
2. Hypocapnia
3. Increase temp
4. Increased 2,3 DPG

Correct answer: 2. Hypocapnia

Explanation: 4 factors causing Right shift: 3. Increase in CO2 4. Increase in 2, 3 DPG - Hypoxia induces increase formation of 2, 3 DPG - right shift 2, 3 DPG is the product of Rapport Luebbering shunt in RBC 2, 3 DPG bind with Hb and dissociates O2